Barr bodies are not present in :
1. XO
2. XXY
3. XX
4. XXX

Correct answer: 1. XO

Explanation: XO